Beck's triad of cardiac tamponade includes all, Except:
1. Hypotension
2. Increased JVP
3. Muffled Heart sounds
4. Tachycardia

Correct answer: 4. Tachycardia

Explanation: Answer is D (Tachycardia) The three principle features of Beck's triad are hypotension, soft or absent heart sounds and increased JVP Beck's Triad of Cardiac Tamponade HypotensioneQ Soft or absent Heart sounds (Silent Heart)Q Increased JVP (with a prominent x descent hut absent y descent)Q